Following drugs are used in the treatment of ADHD:
1. Amphetamine
2. Modafinil
3. Methylphenidate
4. All of the above

Correct answer: 4. All of the above

Explanation: Pharmacotherapy: Stimulants Non stimulants Methylphenidate, dexmethylphenidate Atomoxetine Amphetamines Bupropion Modafinil Clonidine, Guanfacine Venlafaxine - Stimulants are the preferred group of drugs in children with ADHD - Methylphenidate is the drug of choice for ADHD children * Atomoxetine is efficacious for ADHD and has modest antidepressant activity. * Similarly, many studies have shown efficacy for depressive and ADHD symptoms with the use of bupropion. However, it is known to lower the seizure threshold and as such would not be a recommended drug of choice in a patient with a history of seizure disorder.